The most common uterine anomaly is -
1. Uterus didelphys
2. Uterus pseudo didelphys
3. septate
4. Bi-cornuate

Correct answer: 3. septate